What is diagnostic of fresh myocardial infraction in ECG
1. QT interval prolongation
2. P mitrale
3. ST segment elevation
4. ST segment depression

Correct answer: 3. ST segment elevation

Explanation: diagnostic changes of acute or evolving ischemia are often masked by the presence of left bundle branch block, electronic ventricular pacemaker patterns, and Wolff- Parkinson-White preexcitation. However, clinicians continue to over- diagnose ischemia or infarction based on the presence of ST-segment elevations or depressions; T-wave inversions; tall, positive T waves; or Q waves not related to ischemic heart disease (pseudoinfarct pat- terns). Ref Harrison 20th edition pg 1435